Which among the following is main component of intracellular fluid?
1. Sodium
2. Chloride
3. Magnesium
4. Bicarbonate

Correct answer: 3. Magnesium

Explanation: Cations like Potassium and Magnesium, Anions like phosphate and sulfate are main component of intracellular fluid.